Swine flu is ca used by ?
1. H1N1
2. H5N1
3. H3N1
4. H3N3

Correct answer: 1. H1N1

Explanation: Swine infkuenza, a new H1N1 Virus causes swin flue
REF:ANATHANARAYANAN MICROBIOLOGY NINTH EDITION PAGE.503